At birth eye is usually:
1. Hypermetropic
2. Myopic
3. Emmetropic
4. Aniseikonic

Correct answer: 1. Hypermetropic

Explanation: Ans. Hypermetropic